Mendelsons syndrome is:
1. Aspiration of gastric contents
2. Aspiration of nasal mucous
3. Hypersensitivity to inhalational anesthetics
4. Faulty intubation syndrome

Correct answer: 1. Aspiration of gastric contents

Explanation: Aspiration of gastric contents